The activities of all the following enzymes are increased in starvation except
1. Pyruvate kinase
2. Pyruvate carboxylase
3. Phosphoenolpyruvate carboxykinase
4. Glucose 6-phosphatese

Correct answer: 1. Pyruvate kinase

Explanation: Step 9 of Glycolysis i. Phosphoenolpyruvate (PEP) is dephosphorylated to pyruvate, by pyruvate kinase. First PEP is made into a transient intermediary of enol pyruvate; which is spontaneously isomerized into keto pyruvate, the stable form of pyruvate. ii. One mole of ATP is generated during this reaction. This is again an example of substrate-level phosphorylation (Fig. 9.13). iii. The pyruvate kinase is a key glycolytic enzyme. This step is irreversible. reversal, however, can be brought about in the body with the help of two enzymes (pyruvate kinase and phosphoenolpyruvate carboxykinase) and hydrolysis of 2 ATP molecules. starvation activation of pyruvate kinase brought to glycolysis.Ref: DM Vasudevan, 7th edition, page no: 109